Which of the following is not used for intravascular volume maintenance is:
1. Hydroxy ethyl starch
2. Dextran
3. Erythropoetin
4. Gelatin

Correct answer: 3. Erythropoetin

Explanation: Ans. (c) ErythropoetinRef: Crystalloids versus colloids in fluid resuscitation: a systematic review. Crit Care Med.* Colloids increase intravascular volume* Colloids are dextran, gelatin, hydroxyethyl starch.